In Glassgow Coma Scale which of the following is not a parameter?
1. Verbal
2. Eye
3. Motor
4. Sensory

Correct answer: 4. Sensory